In non competitive inhibition
1. Inhibitors bind to enzyme at substrate binding site
2. Inhibitors bind to enzyme at sites distinct from substrate binding site
3. Can be both
4. None of the above

Correct answer: 2. Inhibitors bind to enzyme at sites distinct from substrate binding site